Triangular facies is indicative of?
1. Russell Silver syndrome
2. Mobius syndrome
3. Soto syndrome
4. Nephrotic syndrome

Correct answer: 1. Russell Silver syndrome

Explanation: a. Russel Silver syndrome(Ref: Nelson's 20/e p 625, 2875)In Russell silver syndrome, short stature, triangular face (small jaw & pointed chin), & limb anomalies are seen;It is an example of genomic imprinting disorder involving chromosome 11; Triangular facies is also seen in Alagille syndrome,